All are true regarding Sunitinib except -
1. it inhibits tyrosine kinase receptors
2. It is used for renal cell carcinoma
3. It is used for the treatment of GIST
4. It is excreted primarily in urine

Correct answer: 4. It is excreted primarily in urine

Explanation: Ans. is 'd' i.e., It is excreted primarily in urineo Sunitinib inhibits multiple Tyrosine kinase receptors. It inhibits PDGF, VEGF and c-kit.o Sunitinib and sorafinih are used in renal cell carcinoma (in RCC there is overexpression of VEGF) and GIST (in GIST there is over expression of C-Kit & PDGF).o Patients who develop resistance to imatinib may respond to the multiple tyrosinase kinase inhibitor sunitinib.o It is eliminated primarily by hepatic route with excretion in faeces.o For sunitinib, there is also an increased risk of cardiac dysfunction, which, in some cases, can lead to congestive heart failure.